In gastric  secretion, gastrin acts on ________ receptor on parietal cells
1. G receptor
2. H receptor
3. CCKb receptor
4. M receptor

Correct answer: 3. CCKb receptor

Explanation: Gastrin acts on cholecytokininB ( CCK B) receptor on parietal cells for gastric secretion.